Doc for Cryptosporidium parvum is
1. Nitazoxanide
2. Cotrimoxazole
3. Ivermectin
4. DEC

Correct answer: 1. Nitazoxanide

Explanation: Nitazoxanide is Doc for Cryptosporidium.
Cotrimoxazole is Doc for Cyclospora and isospora.